Which of the following is NOT a content of the axilla:
1. Axillary vessels
2. Axillary tail of the breast
3. Roots of brachial plexus
4. Intercostobrachial nerve

Correct answer: 3. Roots of brachial plexus

Explanation: Contents of axillaAxillary artery and its branchesAxillary vein and its tributariesInfraclavicular part of brachial plexusFive groups of axillary lymph nodes and the associated lymphaticsThe long thoracic and intercostobrachial nerveAxillary fat and areolar tissue in which the other contents are embeddedLymph nodes of axilla are very important from pathological point of view because breast cancer in female spread to these lymph nodes readily.